Crush Syndrome is associated with all of the following features except -
1. Hypercalcemia
2. Hyperkalemia
3. Increased serum creatinine
4. Myoglobinuria

Correct answer: 1. Hypercalcemia

Explanation: Ans. is 'a' i.e., Hypercalcemia